An obsessive compulsive neurosis patient is likely to develop:
1. Hallucination
2. Depression
3. Delusion
4. Schizophrenia

Correct answer: 2. Depression

Explanation: Most of the patients with OCD, develop secondary depression. It is the M/C Comorbidity associated with OCD. The lifetime prevalence for major depressive disorder in persons with OCD is 67%.